All of the following glucocorticoids can be given by inhalation EXCEPT
1. Dexamethasone
2. Beclomethasone
3. Budesonide
4. Fluticasone

Correct answer: 1. Dexamethasone